Co-efficient of Thermal expansion of amalgam is
1. 6.6 a (ppm k-1)
2. 11.4 a (ppm k-1)
3. 14.0 a (ppm k-1)
4. 25.0 a (ppm k-1)

Correct answer: 4. 25.0 a (ppm k-1)